Referred pain in external hemorrhoids is due to
1. Common pudendal nerve
2. Inferior rectal nerve
3. Splanchnic nerve
4. Sympathetic nerve

Correct answer: 2. Inferior rectal nerve

Explanation: Internal hemorrhoids are located on the inside lining of the rectum and cannot be felt unless they prolapse and push through the anus opening causing pain and itching. A thrombosed external hemorrhoid occurs when blood within the blood vessel clots, and may cause significant pain and swelling.